Cyst showing cholesterol crystals is/are:
1. Branchial cyst.
2. Dentigerous cyst.
3. Old hydrocele.
4. All of the above.

Correct answer: 4. All of the above.

Explanation: Cysts showing cholesterol crystals are:

Branchial cyst
Dental cyst
Dentigerous cyst
Cystic Hygroma (not always)
Old hydrocele
Thyroglossal cyst (not always)